Which of the following is seen in carcinoma breast?
1. Powdery calcification
2. Popcorn calcification
3. Nodular calcification
4. Pleomorphic calcification

Correct answer: 4. Pleomorphic calcification

Explanation: Powdery calcification Fibrocystic disease Popcorn calcification Fibroadenoma Pleiomorphic calcification Ca breast Curvilinear calcification Fat necrosis Microcalcification - < 0.5mm Macrocalcification - > 0.5mm